Lattice degeneration is seen in
1. Hypermetropia
2. Anisocoria
3. Glaucoma
4. Myopia

Correct answer: 4. Myopia

Explanation: Lattice degeneration is an important cause of retinal detachment in young myopic individuals. Peripheral retina becomes atrophic in a lattice pattern and may develop tears, breaks, or holes, which may further progress to retinal detachment. Lattice degeneration is a disease of the human eye wherein the peripheral retina becomes atrophic in a lattice pattern and may develop tears, breaks, or holes, which may further progress to retinal detachment. It is an important cause of retinal detachment in young myopic individuals Reference: Khurana 4th edition PG: 269